Which one of the following local anesthetics belongs to the ester group?
1. Procaine
2. Lignocaine
3. Bupivacaine
4. Mepivacaine

Correct answer: 1. Procaine

Explanation: Procaine is an ester linked local anaesthetic. Bupivacaine, Lignocaine and Mepivacaine are amide linked local anesthetics. Other ester linked anesthetics are cocaine, chloroprocaine, tetracine and benzocaine. Ref: Essentials of Medical Pharmacology By K D Tripathi, 5th Edition, Page 320.